Which of the following is not another name for the vital layer in slow sand filter?
1. Schmutzdecke
2. Zoogleal layer
3. Biological layer
4. Essential layer

Correct answer: 4. Essential layer

Explanation: Vital layer is also known as Schmutzdecke, zoogleal layer, biological layer. It is also known as the heart of the slow sand filter. Ref: Park 21st edition page: 659.